Laser irodotomy is done in:
1. Angle closure glaucoma
2. Open angle glaucoma
3. Neovascular glaucoma
4. Congenital glaucoma

Correct answer: 1. Angle closure glaucoma

Explanation: Ans: A i.e. Angle closure glaucoma Management of glaucoma Nd: YAG iridotomy (both eyes) is done in acute, subacute & chronic primary angle closure glaucoma Surgical procedures for primary open angle glaucoma include laser trabeculoplasty & trabeculectomy if required Angle closure because of fibrosis/ Neovascular glaucoma is treated by maximal medical therapy, panretinal photocoagulation/ cryotherapy & trabeculectomy with Mitomycin-C/ drainage implant Congenital glaucoma is managed by goniotomy, trabeculectomy or trabeculectomy augmented with 5-FU/ Mitomycin-C